Broca's motor speech area is present in
1. Superior temporal gyrus
2. Precentral gyrus
3. Post central gyrus
4. Inferior frontal gyrus

Correct answer: 4. Inferior frontal gyrus

Explanation: Broca's area 44 is in the frontal lobe immediately in front of the inferior end of motor cortex ( which is inferior frontal gyrus). Ref: Ganong's review of medical physiology;23rd edition; pg:297